Hyoglossus muscle inserts into
1. Tip of the tongue
2. Base of the tongue
3. Lateral part of the tongue
4. Hyoid bone

Correct answer: 3. Lateral part of the tongue

Explanation: Key Concept: 
Hyoglossus muscle inserts into lateral part of tongue.